Which of the following condition is associated with Restless leg syndrome (RLS)?
1. Hyperkalemia
2. Hypercalcemia
3. Hyperphosphatemia
4. Chronic renal failure

Correct answer: 4. Chronic renal failure

Explanation: Chronic renal failure